A partial development of the aorticopulmonary septum will result in which of the following?
1. Persistent truncus arteriosus (PTA)
2. Ebstein's anomaly
3. Transposition of the great arteries
4. Common ventricle

Correct answer: 1. Persistent truncus arteriosus (PTA)

Explanation: A. Partial development of the aorticopulmonary septum due to absence of migration of neural crest cell to truncus arteriosus region will cause persistent truncus arteriosus(PTA). FIG:- PTA